Parasympathetic secretomotor fibers to paranasal sinus
1. Otic ganglion
2. Pterygopalatine ganglion
3. Ciliary ganglion
4. Spiral ganglion

Correct answer: 2. Pterygopalatine ganglion